Midzonal necrosis in liver may occur in-
1. Enteric fever
2. Yellow fever
3. Scarlet fever
4. Rheumatic fever

Correct answer: 2. Yellow fever